The insurance concept is essentially one of
1. Budgeting payment
2. Subsidise financing
3. Capitation
4. Sharing risk

Correct answer: 4. Sharing risk